Actin is made of:
1. Polymerization of G actin
2. Myosin
3. F actine
4. All

Correct answer: 1. Polymerization of G actin

Explanation: Actin is made of polymerization of monomeric G proteins